According to DSM 5 criteria, all are true about ADHD except:
1. Adult ADHD symptoms are similar to children
2. For diagnoses, symptoms should be present before 7 years
3. For diagnoses, symptoms should be present before 12 years
4. Symptoms should be present in more than one setting

Correct answer: 2. For diagnoses, symptoms should be present before 7 years

Explanation: According to DSM-5 symptoms should be present before 12 yrs of age to make a diagnosis of ADHD.